Cervical cytology smear revealed CIN2- next step -
1. Colposcopy
2. Cryocautery
3. Hysterectomy
4. Laser ablation

Correct answer: 1. Colposcopy

Explanation: Ans- A Colposcopy guided biopsy